Radiological feature differentiating myositis ossificans from bone tumor is -a) Peripheral ossificationb) Central lucencyc) Discontinuity with the boned) None
1. ab
2. bc
3. abc
4. bcd

Correct answer: 3. abc

Explanation: Round mass with distinct peripheral margin of mature ossification and a radiolucent center of immature osteoid & primitive mesenchymal tissue is characteristic of myositis ossificans and this peripheral maturation and central immaturity is reverse of that seen in malignant bone tumor.
The mass is usually seperated from underlying bone by at least a thin line & lesion are usually located in the diaphysis. If the lesion is in continuity with the bone it is not myositis ossificans and the possibility of tumor or infection arises.